Induction of labour is indicated in all of the following except
1. Diabetes
2. Hypertension
3. Renal disease
4. Heart disease

Correct answer: 4. Heart disease